Endocrine function associated with kidney include all of the following except
1. Erythropoietin secretion
2. Natriuretic peptide secretion
3. 1,25 hydroxy D3 Formation
4. Renin secretion

Correct answer: 2. Natriuretic peptide secretion

Explanation: Ans. (b) Natriuretic peptide secretion(Ref: Ganong, 25th ed/p.701)Natriuretic pepssssstides are not produced by kidneyOther substances namely vitamin D, Erythropoietin and renin are produced by kidney